Salivary gland tumor is most common in which Salivary Gland?
1. Sublingual gland
2. Submandibular gland
3. Minor salivary gland
4. Parotid gland

Correct answer: 4. Parotid gland

Explanation: Ans. (d) Parotid GlandRef: Bailey and Love 27th edition Page 783Incidence of Salivary Gland Tumors:TypeLocationIncidenceMalignancy Percentage of the tumors seenMajorParotidCommon10-20%SubmandibularUncommon50%SublingualVery rare85%MinorUpper aerodigestive tractRare90%